The most common cause of vitreous hemorrhage in adults is -
1. Retinal hole
2. Trauma
3. Hypertension
4. Diabetes

Correct answer: 4. Diabetes

Explanation: Ref:comprehensive ophthalmology AK Khurana page no 246 Causes of vitreous haemorrhage are as follows: 1. Spontaneous vitreous haemorrhage from retinal breaks especially those associated with PVD. 2. Trauma to eye, which may be blunt or perforating (with or without retained intraocular foreign body) in nature. 3. Inflammatory diseases such as erosion of the vessels in acute chorioretinitis and periphlebitis retinae primary or secondary to uveitis. 4. Vascular disorders e.g., hypertensive retinopathy, and central retinal vein occlusion. 5. Metabolic diseases such as diabetic retinopathy. 6. Blood dyscrasias e.g., retinopathy of anaemia, leukaemias, polycythemias and sickle-cell retinopathy. 7. Bleeding disorders e.g., purpura, haemophilia and scurvy. 8. Neoplasms. Vitreous haemorrhage may occur from rupture of vessels due to acute necrosis in tumours like retinoblastoma. 9. Idiopathic